All of the following are true about lymph node metastasis except?
1. Delphian:-Pretracheal
2. Virchow's node:- Left Supraclavicular LN
3. Rotter's :- retropharyngeal lymph node
4. Sister Mary Joseph nodule:- not a lymph node cutaneous metastatic deposit around umbilicus

Correct answer: 3. Rotter's :- retropharyngeal lymph node

Explanation: Important Lymph nodes Rotter's nodes - Interpectoral nodes (CA breast) Rouvier Nodes - Retropharyngeal Nodes (CA Nasopharynx) Delphian nodes - Pre-Cricoid / pre-tracheal / Pre-laryngeal lymph nodes Irish nodes - Nodes in left axilla (CA stomach) Sister Mary joseph nodes - Periumbilical metastatic cutaneous nodules Virchow nodes - Left supraclavicular node Cloquet node - Femoral canal node LN of Lund - Cystic lymph node Krouse lymph node - jugular fossa lymph node